5-year-old child with 20 kgs weight has a respiratory rate of 54 breaths/ minute. It is classified as which pneumonia:
1. No pneumonia
2. Pneumonia
3. Severe pneumonia
4. Very severe pneumonia

Correct answer: 2. Pneumonia

Explanation: Ans. B i.e. Pneumonia